Maximum urine osmolality in preterm neonate:
1. 200
2. 400
3. 500
4. 800

Correct answer: 3. 500

Explanation: c. 500(Ref: Nelson 20/e 349; Pediatric Urology By John G. Gearhart pg 15-20)Premature infants have an even more limited capacity to concentrate their urine than those born at term, with a maximum urine osmolality of about 500mOsm/kgH2 O.